Classical Meig syndrome is associated with which of the following ovarian tumour :
1. Fibroma
2. Serous cystadenoma
3. Thecoma
4. Endometroid tumour

Correct answer: 1. Fibroma

Explanation: Fibroma